Maximum tolerated dose of a new drug is evaluated in
1. Phase 4
2. Phase 3
3. Phase 2
4. Phase 1

Correct answer: 4. Phase 1

Explanation: Phase 1 Clinical trials is used to evaluate Maximum tolerated dose (MTD) of a new drug